A person who is intoxicated is not considered responsible for his actions under -
1. Section 84 IPC
2. Section 85 IPC
3. Section 82 IPC
4. Section 87 IPC

Correct answer: 2. Section 85 IPC

Explanation: Sec 85 IPC states that nothing is an offence which is done by a person who, at the time of doing it, is, by reason of intoxication, incapable of knowing the nature of the act, or that he is doing what is either wrong, or contrary to law; provided that the thing which intoxicated him was administered to him without his knowledge or against his will. Sec. 84 IPC deals with criminal responsibility of a mentally ill person. Sec. 82 IPC deals with minimum age of criminal responsibility of a person. Sec. 87 IPC deals with punishment for an act not intended to cause death. Ref: Dr.K.S.Narayan Reddy's synopsis of Forensic Medicine & Toxicology, 29th edition, Chapter-3.